Maxwell Lyon's sign is a feature of:
1. Trachoma
2. Spring catarrh
3. Epidemic keratoconjunctivitis
4. Acanthamoeba keratitis

Correct answer: 2. Spring catarrh

Explanation: A/K/A warm weather ketratoconjuctivitis /Vernal ketratoconjuctivitis more common in young boys spontaneously resolves at age of puberty type of type 1 HSN (IgE mediated )type 1>type 4. features - cobblestone appearance (hall mark)(large papillae) Maxewell lyon sign - coagulated coppy dishrage forming psudomembrane seen on the eversion of the eyelid. Horner tranta spots DOC-sodium cromoglycolate (Mast cell stabliser)